Langerhans cells in skin are
1. Antigen presenting cells
2. Pigment producing cells
3. Keratin synthesising cells
4. Sensory neurons

Correct answer: 1. Antigen presenting cells

Explanation: Ans. is 'a' i.e., Antigen presenting cells